Intracellular calcification begins in
1. Mitochondria
2. Golgi body
3. Nucleus
4. ER

Correct answer: 1. Mitochondria